A climber is coming down from the summit of Mt. Everest. At an altitude of 8,400m, he has a blood gas drawn while breathing ambient air as part of a research project. The blood gas reveals pH 7.55, PCO2- 12, PO2 -30 and HCO3 -20. What does it demonstrate?
1. Respiratory acidosis uncompensated
2. Respiratory alkalosis partially compensated
3. Respiratory alkalosis uncompensated
4. Respiratory acidosis partially compensated

Correct answer: 2. Respiratory alkalosis partially compensated

Explanation: pH - 7.55 (alkaline) PCO2 - 12 (low) HCO3 - 20 (low) -Respiratory alkalosis * For every 10 mm | in CO2 -HCO3 to be | by 2 meq. * So PCO2 | ~ 30 mm Hg * HCO3 to be | by 2x3=6 * So 26-6 = 20 * But pH - | * So partially compensated compensation is partial because pH is not normalized(normal pH ranges 7.35-7.45)